Cheiloscopy is the study of prints of
1. Foot
2. Fingers
3. Palate
4. Lips

Correct answer: 4. Lips

Explanation: D i.e. Lips